Which of the following is true regarding non-competitive enzyme inhibition?
1. Vmax increases
2. Vmax decreases
3. Km increases
4. Km decreases

Correct answer: 2. Vmax decreases

Explanation: In case of non-competitive enzyme inhibition Vmax decreases and Km remains the same.